Antimullerian hormone levels, during menopausal transition
1. Remain constatn
2. Decrease
3. Increase
4. Varies

Correct answer: 2. Decrease

Explanation: Anti mullerian hormone levels decrease markedly and progressively across menopausal transition.